Which of the following (in maternal serum) indicate open neural tube defect:
1. Increased folic acid levels
2. Increased Alpha fetoprotein levels
3. Decreased Alpha fetoprotein levels
4. Decreased beta-HCG

Correct answer: 2. Increased Alpha fetoprotein levels

Explanation: Ans. B: increased Alpha fetoprotein levels MSAFP level is elevated in 1) wrong gestational age, 2) open neural tube defect (NTD's), 3) multiple pregnancies, Rh isoimmunisation 4) IUFD, 5) anterior abdominal wall defects and 6) renal anomalies Risk factors for NTD: Family history of neural tube defects Maternal diabetes insufficient folic acid intake during pregnance Maternal intake of anti-epileptics